Which virus cause nephropathy in transplant recipients?
1. Jc virus
2. Bk virus
3. SV - 40 virus
4. Merkel cell virus

Correct answer: 2. Bk virus

Explanation: Bk virus caue nephropathy in tranplant recipients.